Alkaline diuresis is done for treatment of poisoning due to
1. Morphine
2. Amphetamine
3. phenobarbitone
4. Atropine

Correct answer: 3. phenobarbitone

Explanation: Alkaline diuresis is useful for poisoning of acidic drugs as acidic drugs ionize in alkaline medium ionized drugs will get eliminated easily eg for acidic drugs- Barbiturates, benzodiazepines, tetracyclines, penicillins, sulphonamides, etc Ref: KD Tripathi pharmacology 7th edition (page.no: 81)